Most common cause for primary hyperparathyroidism is:
1. Single adenoma
2. Multiple adenomas
3. Single gland hyperplasia
4. Multiple gland hyperplasia

Correct answer: 1. Single adenoma

Explanation: - Solitary adenoma is the most common cause (80%) - Parathyroid adenomas are most commonly located in inferior parathyroid glands Primary Hyperparathyroidism (PHPT)- Caused by increased secretion of Parathyroid hormone (PTH) from abnormalparathyroid gland- More common in females- MC cause of PHPT - Solitary Adenoma (80% of cases)|MC location - Inferior parathyroid